Hormones required during puberty ?
1. LSH
2. Testesterone
3. Leptin
4. All of the above

Correct answer: 4. All of the above

Explanation: Ans. is 'd' i.e., All of the above Puberty is triggered by a release of gonadotropins (FSH and LH) from pituitary gland. These hormones act as signals to the gonads (testes/ovaries) that trigger the production of - i) Estrogen, progesterone and some testosterone in women. ii) Testosterone in men. In both males and females, testosterone is responsible for development of pubic hair, accelerated bone growth, body odor and acne during puberty. For boys, testosterone is responsible for the process of virilization, including the enlargement of the penis, increased libido and growth of facial and chest hair. Estrogen is the major hormone responsible for female puberal development. It causes development of breast and thickening of endometrium. Progesterone causes proliferation of acini in mammary glands and converts watery cervical secretion to viscid and scanty. Leptin facilitates release of gonadotropin releasing hormone (GnRH), thereby helping in pubertal onset. Other hormones which are involved in puberty are thyroxine and growth hormone.